Which of the following is treatment for chronic dacrocystitis?
1. Dacrocystorhinostomy
2. Dacrocystectomy
3. Massaging
4. Syringing

Correct answer: 1. Dacrocystorhinostomy

Explanation: Ans. a (Dacrocystorhinostomy). (Ref. and Parson's 19th/501, Basak, Ophthalmology, 2nd ed., 282, 336)Dacrocystorhinostomy (DCR): It is surgical procedure of choice in chronic dacrocystitis, in which a communication is made between lacrimal sac and middle meatus of nose.Contraindications:# DNS# Atrophic rhinitis# Carcinoma of lacrimal gland